Enzyme inhibited by insulin ?
1. Glucokinase
2. PFK-1
3. Glycogen phosphorylase
4. Glycogen synthase

Correct answer: 3. Glycogen phosphorylase

Explanation: Ans. is 'c' i.e., Glycogen phosphorylaseEnzymes /Pathways inhibited by insulin :i) Gluconeogenesis : Pyruvate carboxylase, PEP carboxykinase, fructose-1, 6-bisphosphatase, glucose-6 phosphataseii) Glycogenolysis : Glycogen phosphorylaseiii) Lipolysis : Hormone sensitive lipase